In chronic secretory otitis media, the treatment of choice is:
1. Cortical mastoidectomy
2. Radical mastoidectomy
3. Grommet tube insertion
4. Antibiotics and antihistaminic for 6 weeks

Correct answer: 3. Grommet tube insertion

Explanation: Otitis media with effusion (glue ear) or non-suppurative otitis media or sero mucinous otitis media or exudative otitis media is a very common condition in children and majority of children experience at least one episode in their life. Primary cause is poor Eustachian tube function in children. As the O2 is continuously absorbed by the middle ear mucosa it results in negative middle ear pressure unless the Eustachian tube opens to replenish the ear. Negative pressure leads to transudation of fluid into the middle ear and if the hypoxia continues a mucoid exudate is produced by the glands of middle ear mucosa (glue ear). Majority of children need no treatment. but, if required, surgery is the only effective way of curing glue ear and both ventilation tube (grommet) and adenoidectomy are effective. Myringotomy should be followed by grommet insertion to maintain the aeration of middle ear. It should be left in situ for weeks or months or until it is spontaneously extruded.